Trotter's triad is seen in:
1. Angiofibroma
2. Nasopharyngeal carcinoma
3. Laryngeal carcinoma
4. Growth in fossa of Rosenmuller

Correct answer: 2. Nasopharyngeal carcinoma